Which is the best treatment for type IV respiratory failure?
1. Non-invasive ventilation with tight-fitting face mask
2. Intubation with mechanical ventilation
3. Continuous positive pressure ventilation
4. High-frequency jet ventilation

Correct answer: 2. Intubation with mechanical ventilation

Explanation: Type IV respiratory failure occurs due to hypo-perfusion of respiratory muscles in patients with shock. Normally respiratory muscles consume <5% of total cardiac output and oxygen delivery. Patients in shock may have as much as 40% of cardiac output distributed to respiratory muscles. Intubation and ventilator-assisted breathing will allow re-distribution of cardiac output Non-invasive ventilation with tight-fitting face mask is used in the management of Type 2 Respiratory failure e.g. in cases of exacerbations of COPD.